Which of the following factors affect pulse pressure?
1. Stroke volume
2. Compliance of aorta
3. Ejection fraction
4. All

Correct answer: 4. All

Explanation: Two major factors affect the pulse pressure: (1) the stroke volume output of the heart and (2) the compliance (total distensibility) of the arterial tree. A third, less important factor is the character of ejection from the heart during systole. Ref: Guyton's physiology, 11th edition, page 73